A patient comes to hospital with a history of sore throat, diarrhoea and sexual contact 2 weeks before. The best investigation to rule out HIV is -
1. P24 antigen assay
2. ELISA
3. Western blot
4. Lymphnode biopsy

Correct answer: 1. P24 antigen assay

Explanation: following a single massive imfection the p24Ag is the earliest marker appear in blood REF:MICROBIOLOGY ANANTHA NARAYANAN NINTH EDITION PAGE.577